Which is the commonest type of ectopic pregnancy with presented with rupture?
1. Isthmic
2. Ampulla
3. Interstitial
4. Infundibular

Correct answer: 1. Isthmic

Explanation: Abortion is common in ampullary pregnancies, whereas rupture is the usual outcome with isthmic pregnancies. As a rule, whenever there is tubal rupture in the first few weeks, the pregnancy is situated in the isthmic portion of the tube. When the fertilized ovum is implanted well within the interstitial portion, rupture usually occurs later. Ref: Cunningham F.G., Leveno K.J., Bloom S.L., Hauth J.C., Rouse D.J., Spong C.Y. (2010). Chapter 10. Ectopic Pregnancy. In F.G. Cunningham, K.J. Leveno, S.L. Bloom, J.C. Hauth, D.J. Rouse, C.Y. Spong (Eds), Williams Obstetrics, 23e.